False about Randomised Control Trials is
1. Randomisation is done while selecting subjects for the study
2. Results of attrition are included in the analysis
3. Double blinding is the most common form of blinding observed
4. Cross-over design helps removing ethical concerns

Correct answer: 1. Randomisation is done while selecting subjects for the study

Explanation: The essential purposes of randomization in a randomized controlled trial are:
- Participants have ‘Equal and Known Chance’ of falling into either ‘Experimental Group’ or ‘Reference Group’
- To eliminate Selection Bias (Selection Bias or ‘Susceptibility Bias’ is the bias due to differential susceptibility of two groups to outcome, even before intervention/experiment is performed; Thus two groups are not comparable)
- To ensure comparability among two groups
- To have ‘similar prognostic factors’ among two groups
- ‘Randomisation is done while dividing patients into the Experimental (Intervention) Group and the Reference Group’ AND not while selecting patients for RCT
- Randomisation is known as ‘Heart of a trial’
- Randomisation is superior to Matching.